Arterial supply of caecum is through:
1. Right colic artery
2. Middle colic artery
3. Ileocolic artery
4. All of the above

Correct answer: 3. Ileocolic artery

Explanation: Ileocolic artery